Radiological feature of Mitral stenosis is are
1. Double contour of right heart border
2. Straightening of left heart border
3. Splaying of carinal angle
4. All

Correct answer: 4. All

Explanation: A, B, C i.e. Double contour of right heart border, Straightening of left heart border, Splaying of carinal angle